Ipratropium bromide is used for
1. renal colic
2. Organophosphorus poisoning
3. Bronchial asthma
4. miosis

Correct answer: 3. Bronchial asthma